Efferent fibers of amygdala are
1. Stria terminalis
2. Striavascularis
3. Lamina terminalis
4. Mosseyfibers

Correct answer: 1. Stria terminalis

Explanation: Ans. is 'a' i.e., Stria terminalisStria terminalis forms the efferent fibers of amygdaloid nucleus passing in the roof of inferior horn and floor of body of lateral ventricle.